Black tongue is seen in abuse of:
1. Heroine
2. Dhatura
3. Smoking
4. Cocaine

Correct answer: 4. Cocaine

Explanation: D i.e. Cocaine